Iridectomy is a treatment option in:
1. Pigmentary glaucoma
2. Angle closure
3. Psuedoexfoliative glaucoma
4. Open glaucoma

Correct answer: 2. Angle closure

Explanation: Ans: B (Angle closure glaucoma) Ref: Basak Diseases of the eye 5th edition, pg no 455Explanation:IRIDECTOMY:Abciston of a portion of the iris usually done in the upper part where it is covered by the upper lid .Types of iridectomy:Peripheral Button Hole Iridectomy. Indications:Angle closure glaucoma.As a part of trabeculectomy operation.In Intracapsular cataract extractionIn penetrating keratoplastyTo prevent Pupillary Block GlaucomaComplete IridectomyOptical Iridectomy- Done in eases of Central corneal opacity, axial congenital cataractIRIDOTOMY: Section of the iris without abscising any portion of it.Indications:To create artificial pupilLaser iridotomv - PACG & post operative papillary block glaucoma4 point iridotomv - to prevent glaucoma in iris bombe.